Burkitt's lymphoma is malignancy of
1. B.cells
2. T cells
3. Antigen presenting cells
4. Null cells

Correct answer: 1. B.cells

Explanation: (A) (B-cell) (452-Baveja 4th) (566-Ananthanarayan 9th)Burkitt's lymphoma - a malignant neoplasm of B- lymphocytes (tumour of jaw)* EBV has affinity for lymphoid tissue. The virus especially affects B-lymphocytes. EBV infected B lymphocytes are transformed in such a way that they multiply continuously.B -cells* B. Cells are part Of adaptive immunity *** B. cells constitute 10% to 20% of the circulating peripheral lymphocytes* B. cells originate as well as mature in bone marrow (contrast to T- cells* IgM and IgD present on the surface of all native B. cells* After antigenic stimulation ,B. cells form plasma cells that secrete immunoglobulins *** B. cells bind to sheep erythrocytes coated with antibody and complement, forming EAC rosette* T. cells binds to sheep erythrocytes CD2 forming SRBC or E rosette* EB V is a polyclonar activator of B cells leads to the production of antibodied to host cells and viral proteins (AUTOIMMUNITY)During development T cells undergo both positive selection and negative selection, while B cells undergo only negative selectionEBV associated malignancies * Burkitt's lymphoma* Hodgkin's disease (mixed cellularity type)* T. cell lymphoma* Gastic carcinoma* Angiocentric nasal NK/T cell immunoproli ferative lesions* Angio-immuno-blastic lymphadenopathy* Nasopharyngeal carcinoma* T onsillar carcinoma* Thymoma* CNS lymphoma in AIDS and transplant recipientOther associated nonmalignant conditions* Oral hairy leukoplakia in AIDS Patients *** Chromic fatigue syndrome* X - linked lymphoproliferative syndrome (Duncan's syndrome).